Atopy is mediated by -
1. IgE
2. IgD
3. IgM
4. IgA

Correct answer: 1. IgE

Explanation: Atopic individuals can have up to 10 times the normal level of IgE in their blood. Atopy is also called IgE mediated reactions Reff: Ananthanarayan &Parkerss textbook of microbiology 9th edition pg:98